A povey-stricken mother suffering from active tuberculosis delivers a baby. Which one of the following advices would be the most appropriate in her case -
1. Breast feeding and BCG immunization
2. Breast feeding and isoniazid administration
3. Expressed breast milk and BCG immunization
4. Stop feeds and isoniazid administration

Correct answer: 2. Breast feeding and isoniazid administration

Explanation: Ans. is 'b' i.e., Breast feeding and isoniazid administration o The best answer would have been --> Breast feeding + INH + BCG vaccination.